A child has multiple itchy papular lesions on genitalia and fingers. Similar lesions are also noted in his younger brother. What is the diagnosis?
1. Papular urticaria
2. Scabies
3. Atopic dermatitis
4. Allergic contact dermatitis

Correct answer: 2. Scabies

Explanation: The four cardinal features suggestive of scabies 1 Presence of burrow in S. Corneum especially on the hand or penis 2 Characteristic distribution of lesions: Face, palm, soles involved in infants but spared in adults. Circle of Hebra: Web spaces, groins, periumblical area and flexors of wrist, elbow & axilla. 3 History of similar illness in other family members 4 Intense pruritus (nocturnal)